Cysteine is synthesized from
1. Methionine
2. Arginine
3. Histidine
4. Lysine

Correct answer: 1. Methionine

Explanation: Methionine is first converted to active methionine and then it is converted to cysteine on combining with serine.Ref: DM Vasudevan - Textbook of Biochemistry, 7th edition, page no: 217, Fig 16.14, 16.15.